A woman presents with amenorrhoea of 2 months duration; lower abdominal pain, facial pallor fainting and shock. Diagnosis is :
1. Ruptured ovarian cyst
2. Ruptured ectopic pregnancy
3. Threatened abortion
4. Septic abortion

Correct answer: 2. Ruptured ectopic pregnancy

Explanation: Ans. is b i.e. Ruptured ectopic pregnancy